Paradoxical splitting of S2 is seen in
1. Pulmonary stenosis
2. Pulmonary hypertension
3. Aortic stenosis
4. Congenital absence of pulmonary valve

Correct answer: 3. Aortic stenosis

Explanation: Paradoxical splitting: Reverse of normal physiology, splitting of second heart sounds during expiration, singular during inspiration Seen in conditions that cause delayed conduction down the left bundle (LBBB, pre-excitation of the right ventricle, right ventricular pacing, premature RV beats), aortic stenosis ref - Harrisons internal medicine 20e pg1802-1805